A 40 Yr old patient with a single kidney and a solitary exophytic mass of 4cm localised at its lower pole which amongst the following is the best recommended management option
1. Partial nephrectomy
2. Radical nephrectomy
3. Radical nephrectomy with dialysis
4. Radical nephrectomy with immediate renal transplantation

Correct answer: 1. Partial nephrectomy